Constitution by which we can force people on hunger strike to eat is ?
1. Article 21
2. Article 35
3. Article 48
4. Article 52

Correct answer: 1. Article 21

Explanation: Ans. is 'a' i.e., Article 21 Indian constitution (Article 21) ensures right to life; there is no equivalent right to die. Since Indian constitution is supreme, force feeding in hunger strikers is lawful in India.